Cryptogenic organising pneumonia is characterised by all of the following except -
1. Migratory pulmonary opacities
2. Obstructive pattern of pulmonary function
3. Arterial hypoxemia
4. Good response to corticosteroids

Correct answer: 2. Obstructive pattern of pulmonary function